All are involved in auditory pathway except
1. Trapezoid body
2. Lateral geniculate body
3. Inferior colliculus
4. Superior olivary complex

Correct answer: 2. Lateral geniculate body

Explanation: It is the medial geniculate body that is involved. (Ref: Diseases of EAR, NOSE and THROAT by PL Dhingra; 6th edition; page no.14 figure 2.2)